Corpulence Index Normal valve
1. < 1.2
2. > 1.2
3. 2.2
4. < 0.2

Correct answer: 1. < 1.2